Anterior spinal Artery thrombosis is characterized by all, except:
1. Loss of pain & touch
2. Loss of vibration sense
3. Loss of power in lower limb
4. Sphincter dysfunction

Correct answer: 2. Loss of vibration sense

Explanation: Answer is B (Loss of vibration sense): Anterior spinal artery thrombosis does not involve the posterior column and hence vibration sense and joint positions sense (proprioception) are preserved.